In which of the following condition serum ascites-to-albumin gradient is > 1.1
1. Nephrotic syndrome
2. Pancreatitis
3. Peritoneal carcinomatosis
4. Budd chiari syndrome

Correct answer: 4. Budd chiari syndrome

Explanation: The development of the serum ascites-to-albumin gradient (SAAG) has replaced the description of exudative or transudative fluid. When the gradient between the serum albumin level and the ascitic fluid albumin level is >1.1 g/dL, the cause of the ascites is most likely due to portal hypertension; this is usually in the setting of cirrhosis. When the gradient is <1.1 g/dL, infectious or malignant causes of ascites should be consideredIn Budd Chiari syndrome SAAG is >1.1 i.e portal hypertensionReference: Harrison's Principles of Internal medicine; 19th edition; Chapter 35; Cirrhosis and its complications